Macrosomia is -
1. Large size baby
2. Big mouth
3. Large head
4. Large tongue

Correct answer: 1. Large size baby

Explanation: Ans. is 'a' i.e.. Large size babyMacrosomia :-o Condition where baby is large before birth.Factors causing Macrosomia :-1. Mother having diabetes2. Mother having gestational diabetes3. Obese mother.